All of the following are true about Barret's esophagus, Except:
1. Consequence of prolonged GER
2. It is premalignant
3. Lower oesophageal mucosa is replaced by intestinal type of epithelium
4. Associated with oesophageal varices

Correct answer: 4. Associated with oesophageal varices

Explanation: Answer is a D (Associated with oesophageal varices) Barret's oesophagus is not associated with oesophageal varices. Barret's oesophagus is characterized replacement of lower oesophageal mucosa by intestinal (columnar) type of epithelium. It is considered premalignant with increased risk of adenocarcinoma, and is believed to be caused by prolonged gastroesophageal reflux.